Active component of Ganja includes
1. Tetrahydrocannabinols
2. LSD
3. Ethyl alcohol
4. N Methyl tryptophan

Correct answer: 1. Tetrahydrocannabinols

Explanation: Cannabis * Active Principle: Cannabidiol which is inert, is converted to active tetra-hydrocannabinols(THC) on exposure to heat * It does not produce physiological dependence or addiction, but psychological dependenceand tolerance develop